Which of the following is the best tuning fork to do Rinne's and Weber s tests
1. 128 Hz
2. 256 Hz
3. 512 Hz
4. 1024 Hz

Correct answer: 3. 512 Hz

Explanation: Ans. (c) 512 HzRef: Dhingra's ENT 6th ed./22, 5th ed. / 26